Standard method to differentiate between endotracheal and esophageal intubation is?
1. End tidal CO2
2. Chest X-rays
3. Auscultation
4. Partial pressure of 02

Correct answer: 1. End tidal CO2

Explanation: Ans. is 'a' i.e., End tidal CO2